Components of epidemiological triad are all except
1. Environment
2. Agent
3. Host
4. Pathogenesis

Correct answer: 4. Pathogenesis

Explanation: Ans. (d) PathogenesisThe causative factors of disease include AGENT, HOST, ENVIRONMENT . These 3 are referred as Epidemiological triad. Interaction of these 3 factors is required for development of disease .